On ECG, ST segment elevation is seen in all of the following conditions EXCEPT:
1. Left ventricular aneurysm
2. Acute pericarditis
3. Myocardial infarction
4. Hypocalcemia

Correct answer: 4. Hypocalcemia

Explanation: ST elevation seen in: E- Electrolyte imbalance (Hyperkalaemia) L- LBBB E- Early repolarizing variant VA-Ventricular arrhythmia T- Trauma I - Ischemia O- Osborn wave (Hypothermia) N- Nor occlusive vasospasm If QT || - Tetany (Hypocalcaemia)